Schistosomiasis is an exmple of:
1. Meta-zoonoses
2. Cyclo-zoonoses
3. Direct-zoonoses
4. Sporo-zoonoses

Correct answer: 1. Meta-zoonoses

Explanation: Ans. a. Meta-zoonoses